Oligohydramnios is/are associated with:a) Neural tube defectb) Renal agenesisc) Postmature birthd) Premature birth
1. a
2. c
3. bc
4. ad

Correct answer: 3. bc

Explanation: Causes of oligohydramnios:
Mnemonic: Dil Mein Ppaar (read as pyaar)
Dil

Drug (Prostaglandin synthetase inhibitors and ACE inhibitors). IUGR Leaking of fluid following amniocentesis or chorionic villus sampling.

Mein

Maternal conditions like hypertension and preeclampsia.

Ppaar

Postterm pregnancy
Premature rupture of membrane
Abruptio-chronic
Amnion Nodosum. and chromosomal anomaly like triploidy
Renal anomalies of fetus(leading to decreased urine production):
Renal agenesis
Urethral obstruction (Posterior urethral valve)
Prune-Belly syndrome
Bilateral multicystic dysplastic kidneys.